A 30 year old patient is having high fat content in the stool. D-xylose test  is normal, where is the pathology suspected
1. Pancreas
2. Intestine
3. Both
4. None of the above

Correct answer: 1. Pancreas

Explanation: Normal D-xylose test rules out intestinal pathology, thus suspecting pancreatic diseases.